According to the percepts of vertical condensation technology, the apical foramen should be
1. as large as practicable.
2. as small as practicable.
3. oval.
4. circular.

Correct answer: 2. as small as practicable.